A 56-year-old woman visits the emergency department after falling on wet pavement. Radiographic examination reveals osteoporosis and a Colles' fracture. Which of the following carpal bones are often fractured or dislocated with a Colles' fracture?
1. Triquetrum and scaphoid
2. Triquetrum and lunate
3. Scaphoid and lunate
4. Triquetrum, lunate, and scaphoid

Correct answer: 3. Scaphoid and lunate

Explanation: The scaphoid and lunate carpal bones are in closest articulation with the radius, which is fractured in a Colles' fracture; therefore, they would most likely be disrupted or fractured. The other carpal bones listed do not have direct contact with the radius and have a more distal location; therefore, they would not be as likely to be injured with a Colles' fracture.